Syndrome not related with leukemia is?
1. Bloom syndrome
2. Down syndrome
3. Ataxia telangiectasia
4. Turners syndrome

Correct answer: 4. Turners syndrome